Resting membrane potential in ventricular myocardium
1. -50mV
2. >70mV
3. +70mV
4. -90mV

Correct answer: 4. -90mV

Explanation: Ventricular cardiomyocyte membrane potential is about -90 mV at rest, which is close to the potassium reversal potential. When an action potential is generated, the membrane potential rises above this level in four distinct phases.